Appetite is stimulated by all of the following peptides, except
1. Agouti - Related Peptide (AGRP)
2. Melanocyte stimulating hormone (MSH
3. Melanin concentrating hormone (MCH)
4. Neuropeptide Y

Correct answer: 2. Melanocyte stimulating hormone (MSH

Explanation: An orexigenic, or appetite stimulant, is a drug, hormone, or compound that increases appetite and may induce hyperphagia. This can be a naturally occurring neuropeptide hormone such as ghrelin, orexin or neuropeptide Y, or a medication which increases hunger and therefore enhances food consumption Ref: guyton and hall textbook of medical physiology 12 edition page number:711,712,713